Main advantage of transoesophageal echocardiography (TEE) is
1. Site of origin of thrombus detected
2. Lung tumors can be easily diagnosed
3. TEE guided ECG can be done
4. Ease in taking lung biopsy

Correct answer: 1. Site of origin of thrombus detected

Explanation: Ans. a (Site of origin of thrombus can be detected). (Ref. Grainger, Diagnostic Radiology, 4th ed., 697, 977)Advantages of TRANSESOPHAGEAL ECHO (TEE)# Widely available, noninvasive (relatively)# Can be performed at the bedside within 10-15 minutes.# Can be performed on an unstable patient.# TEE is useful in patients in whom adequate echo images cannot be obtained by the standard echo techniques (most often because their chest walls are particularly thick, or because they have emphysema.)# Best for detecting perioperative ischemia and is a cardiovascular monitoring.# Provides additional useful information:- AI,- Pericardial effusion,- Coronary ostia visualization,# TEE can be performed in the operating room during open heart surgery (Intraoperative TEE is especially useful during valve reconstruction surgery).# Posterior structures (pulmonary veins, the atria & their appendages & atrioventricular valves) are especially well imaged & hence the thrombi that are common in atria and their appendages (especially the left atrial thrombus) can be easily detected.# Best for detecting vegetations on the valves in IE.Disadvantages of TEE# Contraindicated in patients with: esophageal varices, tumours and strictures.# Potential complications:- Bradycardia, hypotension, bronchospasm.- The most common problem with the TEE is certain amount of gagging and throat discomfort during the procedure.- Patients often have sore throats for a few days after the procedure.- Rarely, perforation of the esophagus or bleeding can occur.